Phagocytosis discovered by-
1. Metchnikoff
2. Ehrlich
3. Ruska
4. Pasteur

Correct answer: 1. Metchnikoff